The intracranial tumor most likely to be encountered in a middle-aged man with the acquired immunodeficiency syndrome (AIDS) is:
1. Glioblastoma multiforme
2. Ependymoma
3. Meningioma
4. Lymphoma

Correct answer: 4. Lymphoma

Explanation: DISCUSSION: Primary intracranial lymphomas occur with increased frequency in patients who are immunocompromised, such as recipients of organ transplants and patients with AIDS.